TCBS agar is for?
1. Leptospira
2. Vibrio
3. Legionela
4. Bacteroides

Correct answer: 2. Vibrio

Explanation: Ans. b (Vibrio)# The Vibrio organism appears as gram-negative, curved, motile bacilli.# The A subunit of the Vibrio enterotoxin activates adenyl cyclase, resulting in the hypersecretion of water, sodium, potassium, chloride, and bicarbonate into the intestine (diahrrea).# Vibrio gastroenteritis or cholera are associated with consumption of contaminated seafood or water.# Vibrio vulnificus is associated with cellulitis caused by trauma incurred in a seawater environment and carries a high mortality rate if not treated rapidly.# Vibrio species require salt for growth and can be differentiated from other organisms by growth on TCBS agar.